A 25 years old female reports in the casualty with history of amenorrhoea for two and half months and abdominal pain and bleeding per vaginum for one day. On examination, vital parameters and other systems are normal. On speculum examination, bleeding is found to come from Os. On bimanual examination, uterus is of 10 weeks size, soft and Os admits one finger. The most likely diagnosis is :
1. Threatened abortion
2. Missed abortion
3. Inevitable abortion
4. Incomplete abortion

Correct answer: 3. Inevitable abortion

Explanation: Ans. is c i.e. Inevitable abortion Types of Abortions : WTypes of Abortion Definition Threatened Abortion It is a clinical entity where the process of abortion has started but has not progressed to a state from which recovery is impossible. Inevitable Abortion It is a clinical entity where process of abortion has progressed to a state from where continuation of pregnancy is impossible. Complete Abortion Here the products of conception are expelled en masse. Incomplete Abortion Here the entire products of conception are not expelled but a part is left inside the uterine cavity. Missed Abortion When the fetus is dead and retained inside the uterus for a variable period, it is known as missed abortion. Clinical features and diagnosis of Different types of Abortions. Abortion 1. Threatened Clinical picture Size Slight bleeding of uterus Corresponds Internal os Ultrasound Closed Live fetus, Subchorionic hemorrhage ? 2. Inevitable Bleeding & pain, Shock Equal or less Open with products felt Dead fetus 3. Incomplete Bleeding Smaller Open Retained products 4. Complete Bleeding stopped Smaller Closed Cavity empty 5. Missed Absent or minimal bleeding Smaller Closed Dead fetus